All the following drugs cause retinal changes except:
1. Tamoxifen
2. Amiadarone
3. Hydroxychloroquine
4. Vigabatrin

Correct answer: 2. Amiadarone

Explanation: Ref: Basak s Essentials of Ophthalmology, 5th edition, Harrison s, Nelson sExplanation:Drugs Affecting Retina and Optic NerveDrugSide effectsOxygen* Retinopathy of prematurityDigitalis* Disturbance of colour vision* Scotoma* PhotopsiaQuinidine* Optic neuritisThiazides* Xanthopsia (Yellow vision}Amiodarone* Corneal deposits (Vortex or Whorl keratopathy}* Anterior subcapsular cataract* Optic neuritisPhenothiazmes* Oculogyric crisesFemale sex hormones* Retinal artery and vein occlusion* Papilledema* Ocular palsy* Nystagmus* Optic neuropathy* Retinal vasculitis* Macular edema* Scotoma* Mydriasis* CylcoplegiaChloramphenicol* Optic neuritis and atrophyStreptomycin* Optic neuritisChloroquine* Macular changes* Central scotoma * Bull's eye maculopathy (Pig mentary degeneration of retinal* Chloroquine keratopathy* Ocular palsy* Ptosis* ERG depressionIodochorhydroxyquin* Optic atrophyEthambutol* Optic neuritis and atrophyIsoniazid* Optic neuritis and atrophyLead compounds* Optic atrophy* PapilledemaPenicillamine* Ocular pempnigoid* Optic neuritis* Ocular myastheniaVitamin A* Papilledema* Retinal hemorrhages* Loss of eyebrows and eye ashes* Nystagmus* DiplopiaVitamin D* Band shaped keratopathySalicylates* Nystagmus* Rehnal hemorrhages* Cortical blindnessPnenylbutazone* Retinal hemorrhagesVigabatrin* Irreversible diffuse atrophy of retinal nerve fibres (due to taurine depletion)BASED ON RETINAL PATHOLOGYPigmentary RetinopathyQuinotones.Thioridazine.Deferoxamine.Choroidal ToxicityTopiramate.Metronidazole.Macular EdemaLatanoprost.Epinephrine.Niacin.Rosiglitazone.Crystalline RetinopathyTamoxifen.Canthaxanthine.Talc.Misc - MechanismsDigoxins - Inhibits Retinal ATPase.Sildenafil - Alters retinal cGMP levels by inhibiting retina specific PDE6.Interferon - Retinopathy.